Which of the following pathway produces the least number of ATPs?
1. Glycolysis
2. Glycogenolysis
3. TCA cycle
4. HMP shunt

Correct answer: 4. HMP shunt

Explanation: Pathway ATP produced Anaerobic Glycolysis 2 Glycogenolysis followed by anaerobic glycolysis 3 TCA cycle 10 Palmitate oxidation 106 Steric acid oxidation 120 HMP shunt & Uronic acid pathway 0